A 30 months old boy is brought to the physician with jaundice and pallor.Investigations show anemia, reticulocytosis, and increased indirect bilirubin.A peripheral blood smear shows red blood cells without central pallor. This patient is most likely to have which of the following additional findings?
1. Decreased lactate dehydrogenase
2. Increased mean corpuscular hemoglobin concentration
3. Increased mean corpuscular volume
4. Red blood cell inclusions

Correct answer: 2. Increased mean corpuscular hemoglobin concentration

Explanation: - Clinical features & peripheral smear given in the question suggests the diagnosis of Hereditary spherocytosis. - Blood parameters seen are: Decrease Hb, serum haptoglobin Increase LDH Normal MCH Decreased MCV Increased MCHC